Under National Poliomyelitis Elimination Programme, Poliomyelitis is diagnosed by:-
1. Antibodies titre rise in blood
2. Viral isolation in stool
3. Viral microscopy in stool
4. Clinical examination

Correct answer: 2. Viral isolation in stool

Explanation: Polio virus diagnosis in India: Is done by Viral culture and isolation from Stool Samples collected from cases of Acute Flaccid Paralysis (AFP) Previously it was done through 'Antibody titre rise'. 2 stool samples b/w 24-48hrs each weighing 8gm is taken & sent it to lab through reverse cold chain.